Radiation injury to the haemopoietic system of the bone marrow occurs when the whole body exposure ranges between:
1. 50-100 rads
2. 200-1000 rads
3. 1000-5000 rads
4. 10,000 rads to more

Correct answer: 2. 200-1000 rads